Free cholesterol is mostly found in?
1. Outer layer of membrane
2. Cytosol
3. Both sides of plasma membrane
4. Mitochondria

Correct answer: 3. Both sides of plasma membrane

Explanation: Cholesterol is amphipathic in nature Cholesterol is an important component of membranes present on both sides of the plasma membrane Cholesterol intercalates among the phospholipids of the membrane, with its hydrophilic hydroxyl group at the aqueous interface and the remainder of the molecule buried within the lipid bilayer Cholesterol can also be combined with long-chain fatty acids to form cholesteryl ester .. Reference Harper's Illustrated Biochemistry 30th Edition Pg 267